A 24 year old male presents with abdominal pain, rashes, palpable purpura and, arthritis. The most probable diagnosis is:
1. Henoch Schonlein Purpura (HSP)
2. Sweet syndrome
3. Meningococcemia
4. Hemochromatosis

Correct answer: 1. Henoch Schonlein Purpura (HSP)

Explanation: The above mentioned clinical features are the classic presentation of HSP. So Henoch Schonlein Purpura is the single best answer of choice. Ref: Harrison's Principles of Internal Medicine, 16th Edition, Page 2010